A 2 month old child, born prematurely is brought with respiratory distress. Cardiac examination revealed increased pulse peessure and a pansystolic murmur best heard in 2nd left intercostal space. The most probable diagnosis would be
1. Atrial septal defect
2. Ventricular septal defect
3. Patent ductus arteriosus
4. Tetralogy of fallot's

Correct answer: 3. Patent ductus arteriosus

Explanation: Patent ductus arteriosus (PDA) is a persistent opening between the two major blood vessels leading from the heart. The opening, called the ductus arteriosus, is a normal part of a baby's circulatory system before birth that usually closes shortly after birth. Reference: GHAI Essential pediatrics, 8th edition